Which of the following Immunoglobulin is inactive when the temperature is raised?
1. IgG
2. IgA
3. IgM
4. IgE

Correct answer: 4. IgE

Explanation: IgE is medically important for two reasons: It mediates immediate (anaphylactic) hypersensitivity, and It participates in host defenses against certain parasites (e.g., helminths ). The Fc region of IgE binds to the surface of mast cells and basophils. IgE does not fix complement and does not cross the placenta. In contrast to other immunoglobulins, IgE is heat labile and gets inactivated by heating at 56degC Ref: Levinson W. (2012). Chapter 59. Antibodies. In W. Levinson (Ed), Review of Medical Microbiology & Immunology, 12e.